Treatment of Zollinger- Ellison syndrome include all except
1. Proton pump inhibitors
2. Octreotide
3. Streptozotocin
4. Diazoxide

Correct answer: 4. Diazoxide

Explanation: In most patients with ZES, gastric hypersecretion can be treated effectively with proton pump inhibitors.Octreotide can also help to control acid hypersecretion.Systemic chemotherapy is utilised in patients with diffuse metastatic gastrinomas. Streptozotocin in combination with 5-fluorouracil or doxorubicin is the first-line treatment.Ref: Bailey and Love 27e pg: 851